What is not a part of triad of Renal Cell Carcinoma?
1. Loin Mass
2. Hematuria
3. Loin Pain
4. Oliguria

Correct answer: 4. Oliguria

Explanation: Ans. is 'd' i.e., Oliguria o The three classical diagnostic features (classical triad) of renal cell carcinoma are costovertebral pain, palpable mass and hematuria. The most reliable of three is hematuria.Signs and Symptoms of Renal Cell Carcinoma (In decreasing order of frequency)o Hematuriao Flank Masso Anaemiao Hypertensiono Hypercalcemiao Neuromyopathyo Increased ESRo Flank Paino Weight losso Fevero Abnormal Liver functiono Erytjhrocytosiso Amyloidosis